Enzyme activity measured in beri beri is
1. Transketolase
2. Transaminase
3. Decarboxylase
4. Deaminases

Correct answer: 1. Transketolase